Avulsed tooth dip into the citric acid because
1. To remove periodontal ligament
2. To increase the surface area
3. To provide a barrier
4. To increase tension

Correct answer: 1. To remove periodontal ligament